Regarding abdominal eneurysm, all are true except
1. More common in males
2. Transverse diameter of aorta in an aneurysm should be 3cm or more
3. Splenic artery aneurysm is most common
4. Common in smokers

Correct answer: 3. Splenic artery aneurysm is most common

Explanation: Abdominal aortic aneurysm is the most common abdominal aneurysm. splenic artery aneurysm is 2nd most common.